Surfactant production in lungs starts at :
1. 28 weeks
2. 32 weeks
3. 34 wks
4. 36 wks

Correct answer: 1. 28 weeks

Explanation: A i.e. 28 Weeks